Yellow plastic bags containing biomedical wastes are treated by:
1. Autoclaving
2. Incineration
3. Microwaving
4. Shredding

Correct answer: 2. Incineration